The incubation period of staphylococcal food poisoning is
1. 2-6 hours
2. 6-12 hours
3. 12-18 hours
4. 18-24 hours

Correct answer: 1. 2-6 hours

Explanation: Enterotoxin is responsible for the manifestation of staphylococcal food poisoning- causing nausea, vomiting, and diarrhea 2-6 hours after consuming food contaminated by a preformed toxin. The toxin is relatively heated stable, resisting 100deg C for 10-40 minutes depending upon the concentration of toxin and the nature of the medium. The optimum temperature for toxin production is 37degC. Meat and fish or Milk or milk products cooked and left at room temperature after contamination with staphylococci, for enough time for the toxin to accumulate are the common items responsible. The source of infection is usually a food handler who is a carrier. Enterotoxin: 8 antigenic types are known named A, B, C 1-3, D, E, and H. The toxin is believed to act directly on the autonomic nervous system to cause illness, rather than on GI mucosa. Ref: Textbook of Microbiology; Ananthanarayan and Paniker's; 10th Edition; Page No: 204.